Fetal /choroidal fissure is closed by which week of gestation
1. 3rd week
2. 4th week
3. 6th week
4. 8th week

Correct answer: 3. 6th week

Explanation: Fetal fissure is closed by 6th week Failure to close can lead to formation of coloboma(eg- pear shaped coloboma of iris,chorioretinal coloboma i)